Gold standard investigation for pulmonary embolism is?
1. CT scan
2. Pulmonary angiography
3. MRI
4. X-ray chest

Correct answer: 2. Pulmonary angiography

Explanation: Ans. is 'b' i.e., Pulmonary angiography * Invasive pulmonary angiography is the most accurate method (definitive test or gold standard test to diagnose pulmonary embolism. However because of its invasiveness, it has virtually been replaced by CT with contrast as a diagnostic test. The findings includei. Definitive diagnosis : - Intraluminal filling defect in more than one projection.ii. Secondary signs : - These include abrupt occlusion "cut-off" of vessels, segmental oligemia or avascularity, a prolonged arterial phase with slow filling, or tortuous/tapering peripheral vessels.Remember* Investigation of choice for PE - Chest CT with contrast (especially MDCTA)* Investigation of 2nd choice - Lung scan (V/Q scan)* Best investigation for PE - Chest CT with contrast (MDCTA)* Most accurate investigation for PE - Invasive pulmonary angiography* Gold - standard test for PE - Invasive pulmonary angiography* Screening test for PE - D-dimer assay